What is suggilation?
1. Rigor mortis
2. Algor mortis
3. Livor mortis
4. Postmortem caloricity

Correct answer: 3. Livor mortis

Explanation: Postmortem staining is also called livor mortis / suggilation/ Hypostasis / Cadaveric lividity.